Most common site of aortic aneurysm rupture is
1. Descending thoracic aorta
2. Arch of aorta
3. Aortic Root
4. Infrarenal aorta

Correct answer: 4. Infrarenal aorta

Explanation: Answer- D. Infrarenal aortaRuptured aneurysm is the most common cause of aortic rupture and they are most common in the abdomen.